Which of the following has direct role in apoptosis?
1. CAMP
2. CGMP
3. Cytochrome C
4. Exonuclease

Correct answer: 3. Cytochrome C

Explanation: Cytoplasmic cytochrome C has a significant role in intrinsic pathway for apoptosis.